First case to come to notice of physician is:
1. Primary case
2. Secondary case
3. Index case
4. Referral case

Correct answer: 3. Index case

Explanation: Index case